Delusions of control, persecution and self reference are seen in:
1. Paranoia
2. Paranoid schizophrenia
3. Mania
4. OCD

Correct answer: 2. Paranoid schizophrenia

Explanation: B i.e. Paranoid schizophreniaDiagnostic criteria of scizophreniaDiagnostic criteria of Paranoid subtypeA. 2Q of these for > 6 months1. None of the following is prominent1. DelusionsQ- Disorganized speech, Disorganized behaviour,2. HallucinationsQFlat or inappropriate affectQ (these are3. Disorganized speechQprominent in Disorganized subtype)4. Disorganized behaviourQ- Catatonic behaviour (prominent in Catatonic5. Blunt affectQ or negative symptomssubtype)B: Social/ Occupational dysfunctions2 Preoccupation with one or more Delusions orfrequently HallucinationsQ.